Middle cerebellar peduncle transmits fibres of
1. Ponto cerebellar pathway
2. Tectospinal pathway
3. Spinocerebellar pathway
4. Olivo cerebellar pathway

Correct answer: 1. Ponto cerebellar pathway

Explanation: A. i.e. Pontocerebellar pathway